Drug of choice for septic shock is
1. Dopamine
2. Dobutamine
3. Droxidopa
4. Nor adrenaline

Correct answer: 4. Nor adrenaline

Explanation: Septic shock produces more VD so noradrenaline which is a powerful vasoconstrictor is used.